What is the imaging of choice in the setting of head trauma?
1. Helical CT scan without IV contrast
2. Spiral CT scan with IV contrast
3. MRI
4. Digital skull radiographs

Correct answer: 1. Helical CT scan without IV contrast

Explanation: Ans. A. Helical CT scan without IV contrastIn head trauma the imaging study of choice is CT scan.Usually is contrast study is not needed for head injury per se.Skull radiographs have extremely limited value as compared to CT except in evaluation of skull fractures that to depressed skull fracture/fracture base of skull.Indications for CT include:a. Loss of consciousnessb. Altered mental statusc. Focal neurologic signsd. Clinically suspected basilar fracturee. Depressed skull fracturef. Penetrating wound (e.g. bullet)g. Suspected acute SAH/EDH/SDH/Parenchymal Hematoma.